Anal phase of psychosexual stages of development is seen during
1. 0-1.5 years
2. 1.5-3 years
3. 3-5 years
4. 5-12 years

Correct answer: 2. 1.5-3 years

Explanation: Oral phase: 0-1.5 years
Anal phase: 1.5-3 years
Phallic phase: 3-5 years
Latent phase: 5-12 years
Genital phase: > 12 years